Urban health center caters to a population of:
1. 10 lakh
2. 1 lakh
3. 50 thousand
4. 10 thousand

Correct answer: 3. 50 thousand

Explanation: Ans. C: 50 thousand Urban health care delivery model Referral: Public or empanelled Secondary/Tertiary private care Providers Primary level health care facility: PUHC/ primary urban health center (One for about 50,000 population; 25-30 thousand slum population; Strengthened existing Public Health Care Facility and partnership with private providers for extending services to unserved areas Subprimary level: Swasthya Chowki For 10,000 population, With 1 ANM and 1 Male community worker Community level: Community Outreach Service (Outreach points in government/public domain Empanelled private services provider) school health services.